The sensitivity of Mammography is low in young females because?
1. Less glandular tissue and more fat
2. Young females are less cooperative
3. Young breast have dense tissue
4. Because of less fat content

Correct answer: 3. Young breast have dense tissue

Explanation: C i.e. Young breast have dense tissue The mammoigaphic appearance of breast depends on the relative amount of fat and glandular tissue which are present. Young woman's breast contains a large proportion of glandular tissue which appears as a soft tissue densityQ and lowers the sensitivity of mammogram. Mammographic appearance of breast (Based on the relative amount of fat and glandular tissue) - Glandular breast (dense breast): In young woman, where breast contains large amount of glandular tissue - Adipose breast: (Fatty breast)In older women where most of the glandular tissue has involuted Involuting breast : When mixture of soft tissue and fat density present.